Which of the following statements about lung carcinoma is true
1. Squamous cell variant accounts for 70% of all lung cancer
2. Oat cell variant typically present with cavitation
3. Oat cell variant is typically associated with hilar adenopathy
4. Adenocarcinoma variant is typically central in location

Correct answer: 3. Oat cell variant is typically associated with hilar adenopathy

Explanation: Small cell carcinoma usually occurs in central bronchi with associated mediastinal and hilar adenopathy being a common presentation at time of diagnosis Ref Harrison 19th edition pg 515